Broke's tumor is a tumor of -
1. Superficial dermal vesels
2. Sweat glands
3. Hair follicles
4. Sebaceous glands

Correct answer: 3. Hair follicles

Explanation: Broke's tumor is a hair follicle tumor.